Which of the following is true about pathophysiology of skeletal fluorosis?
1. Fluorine increases PTH levels by direct action
2. Fluoroappatite crystals are resistant to osteoclasts
3. Fluorine decreases vitamin D levels
4. Fluorine erodes bone, thereby decreasing bone density

Correct answer: 2. Fluoroappatite crystals are resistant to osteoclasts

Explanation: Fluorosis: Excessive deposition of fluorine occurs in bone and soft tissues. Fluorine stimulates osteoblastic activityand fluoroappatite crystals are laid down in bone which are resistant to osteoclastic resorption. This leads to calcium retention, impaired mineralization and secondary hyperparathyroidism. Interosseousmembrane ossification is a diagnostic radiological finding in skeletal fluorosis The characteristic pathology involves Sub-periosteal new bone formation, Osteosclerosis(Most commonly seen vertebrae, ribs and pelvis) Hyperostosis at the bony attachments of ligaments, tendons and fascia.